Specimens of toxicological studies is preserved in-
1. 10% of formaldehyde
2. Alcohol
3. Supersaturated solution of common salt
4. Normal saline

Correct answer: 3. Supersaturated solution of common salt

Explanation: Most common preservative for toxicological specimen is saturated solution of sodium chloride (NaCl).